Which of the following is not associated with peripheral neuropathy
1. Urticaria pigmentosa
2. Diabetes mellitus
3. Nitrofurantion
4. Infectious mononucleosis

Correct answer: 1. Urticaria pigmentosa

Explanation: Urticaria pigmentosa (also known as generalized eruption of cutaneous mastocytosis (childhood type) ) is the most common form of cutaneous mastocytosis. It is a rare disease caused by excessive numbers of mast cells in the skin that produce hives or lesions on the skin when irritated.not associated with peripheral neuropathy Ref Harrison20th edition pg 2478